Mark the consonant sounds requiring contact between the lips and teeth (labio dentals)
1. d', 't', 'I'
2. b', 'p', 'm'
3. 'th'
4. f', 'ph', 'v'

Correct answer: 4. f', 'ph', 'v'